A 25-year old male had pigmented macules over the palm, sole and oral mucosa. He also had anemia and pain in abdomen. The most probable diagnosis is-
1. Albright's syndrome
2. Cushing's syndrome
3. Peutz-Jegher's syndrome
4. Incontinentia pigmenti

Correct answer: 3. Peutz-Jegher's syndrome

Explanation: Peutz-Jeghers syndrome (PJS) is an autosomal dominant inherited disorder characterized by intestinal hamartomatous polyps in association with a distinct pattern of skin and mucosal macular melanin deposition. Symptoms of PJS are: Brownish or bluish-gray spots on the lips, gums, inner lining of the mouth, and skin. Clubbed fingers or toes. Cramping pain in the belly area. Dark freckles on and around the lips of a child. Blood in the stool that can be seen with the naked eye (sometimes) Vomiting. Ref Davidson edition23rd pg 825